Weight loss is a feature of?
1. Insulinoma
2. Hypothyroidism
3. Addison disease
4. Fatty liver

Correct answer: 3. Addison disease

Explanation: Weight loss is seen in Addison disease because of salt and water loss from body Insulinoma: - Insulin |; Weight gain Hypothyroidism: - BMR|; Weight gain Fatty liver: Obesity: Weight gain